Hyoscine is ---------- antagonist
1. Muscarinic
2. Nicotinic
3. Both 1 and 2
4. None of the above

Correct answer: 1. Muscarinic

Explanation: Hyoscine also called scopolamine is an anticholinergic drug- truth serum natural anticholinergic drug obtained from hyoscine plant Ref: KD Tripathi 8th ed